Joule burn is characteristic of?
1. Thermal burns
2. Lightening
3. Electrocution
4. Firearm injury

Correct answer: 3. Electrocution

Explanation: Joule burn is seen in electrocution. It occurs on firm contact with low voltage current.